Gamma Gandy bodies contains hemosiderin and-
1. Na+
2. Ca++
3. Mg ++
4. Cl--

Correct answer: 2. Ca++

Explanation: Question repeat